Aspirin is useful in which type of bone tumor:
1. Osteonecrosis
2. Osteopetrosis
3. Osteoid osteoma
4. Ewing sarcoma

Correct answer: 3. Osteoid osteoma

Explanation: Ans. (c) Osteoid osteomaRef: Maheshwari 5th ed. / 235* Osteoid osteoma is a benign bone tumour characterized by pain which is relieved by non-steroidal anti- inflammatory drugs (NSAIDs), such as aspirin.* To clarify the mechanism of the pain, five osteoid osteomas were studied immune-histochemically using polyclonal antibodies against prostaglandin E2 (PGE2), S-100 protein and protein gene product.